Minimal change glomerulopathy may be seen in association with all of the following except :
1. Hepatitis B
2. HIV
3. Drug - induced interstitial nephritis
4. Hodgkin's disease

Correct answer: 1. Hepatitis B

Explanation: Answer is A (Hepatitis B) `Hepatitis B' has not been mentioned to have any association with minimal change disease'. Major Causes of Minimal Change Disease / (Nil) disease / Lipoid Nephrosis In association with systemic diseases or drugs HIV infectionQ Hodgkins diseasedeg and other Lymphoproliferative malignancies Drug induced Interstitial NephritisQ NSAIDS Rifampicin Interferon